Sweaty feet smelling urine is seen in A characteristic feature of isovaleric acidemia is a distinctive odor of sweaty feet. This odor is caused by the buildup of a compound called isovaleric acid in affected individuals. Reference: GHAI Essential pediatrics, 8th edition
1. Maple Syrup
2. Gaucher
3. Isovaleric acidemia
4. Phenyl Ketonuria

Correct answer: 3. Isovaleric acidemia

Explanation: A characteristic feature of isovaleric acidemia is a distinctive odor of sweaty feet. This odor is caused by the buildup of a compound called isovaleric acid in affected individuals. Reference: GHAI Essential pediatrics, 8th edition